Which is a prerequisite for shade selection for composites?
1. Tooth should not be dry as drying increases translucency
2. Tooth should not be wet as moisture increases translucency
3. Tooth should not be dry as drying decreases translucency
4. Tooth should not be wet as it decreases translucency

Correct answer: 3. Tooth should not be dry as drying decreases translucency

Explanation: Shade of the tooth is determined before teeth are subjected to drying because dehydrated tooth becomes lighter in colour as a result of decrease in translucency.
Thus shade is selected on a wet tooth.
Reference- Sturdevant 6th ed Pg-483